Gottron papules is seen in ?
1. Dermatomyositis
2. Scleroderma
3. Sarcoidosis
4. Behcets syndrome

Correct answer: 1. Dermatomyositis

Explanation: Ans. is 'a' i.e., Dermatomyositis